Thermophilus actinomycetes is NOT a causative agent for?
1. Bagasosis
2. Mushroom workers lung disease
3. Miller's lung disease
4. Farmer lung disease

Correct answer: 3. Miller's lung disease

Explanation: Ans. C. Miller's lung disease. (Ref. Table 249-1; pg. 1608).# Thermophilus actinomycetes is NOT a causative agent for Miller's lung disease.# The causative agent of Miller's lung is Sitophilus granarius (wheat weevil).# Thermophilus actinomycetes is causative agent of:Baggasosis, Mushroom Workers lung disease, Farmer lung disease.Selected Examples of Hypersensitivity Pneumonitis (HP):DiseaseAntigenSource of AntigenBagassosisThermophilic actinomycetes"Moldy" bagasse (sugar cane)Bird fancier's, breeder's, or handler's lungParakeet, pigeon, chicken, turkey proteinsAvian droppings or feathersCephalosporium HPContaminated basement (sewage)CephalosporiumCheese washer's lungPenicillium caseiMoldy cheeseChemical worker's lungIsocyanatesPolyurethane foam, varnishes, lacquerCoffee worker's lungCoffee bean dustCoffee beansCompost lungAspergillusCompostDetergent worker's diseaseBacillus subtilis enzymes (subtilisins)DetergentFamilial HPBacillus subtilisContaminated wood dust in wailsFarmer's lungThermophilic actinomycetes"Moldy" hay, grain, silageFish food lungUnknownFish foodFish meal worker's lungFish meal dustFish mealFurrier's lungAnimal fur dustAnimal peltsHot tub lungCladosporium spp., Mycobacterium avium complexMold on ceiling; contaminated waterHumidifier or air-conditioner lung (ventilation pneumonitis)Aureobasidium pullulans, Candida albicans,Thermophilic actinomycetes, mycobacterium spp., other microorganismsContaminated water in humidification or forced-air air-conditioning systemsJapanese summer-type HPTrichosporon cutaneum , T. asahii, and T. mucoidesHouse dust? Bird droppingsLaboratory worker's HPMale rat urineLaboratory ratLycoperdonosisLycoperdon puffballsPuffball sporesMalt worker's lungAspergillus fumigatus or A. clavatusMoldy barleyMaple bark diseaseCryptostroma corticateMaple barkMetalworking fluid lungMycobacterium spp., Pseudomonas spp.Contaminated metalworking fluidMiller's lungSitophilus granarius (wheat weevil)Infested wheat flourMiscellaneous medicationAmiodarone, bleomycin, efavirenz, gemcitabine, hydralazine, hydroxyurea, isoniazid, methot rexate, paclitaxel, penicillin, procarbazine, propranolol, riluzole, sirolimus, sulfasalazineMedicationMushroom worker's lungThermophilic actinomycetes, Hypsizigus marmoreus, Bunashimeji, and other exotic mushroomsMushroom compost; mushroomsPituitary snuff taker's lungAnimal proteinsHeterologous pituitary snuffPotato riddler's lungThermophilic actinomycetes, Aspergillus"Moldy" hay around potatoesSauna taker's lungAureobasidium spp., otherContaminated sauna waterSausage worker's lungPenicillium nalgiovenseDry sausage moldSequoiosisAureobasidium, Graphium spp.Redwood sawdustStreptomyces albus HPStreptomyces albusContaminated fertilizerSuberosisPenicillium g la brum and Chrysonilia sitophilaCork dustTap water lungMycobacteria spp.Contaminated tap waterThatched roof diseaseSacchoromonospora viridisDried grasses and leavesTobacco worker's diseaseAspergillus spp.Mold on tobaccoWinegrower's lungBotrytis cinereaMold on grapesWood trimmer's diseaseRhizopus spp., Mucor spp.Contaminated wood trimmingsWoodman's diseasePenicillium spp.Oak and maple treesWoodworker's lungWood dust, AlternariaOak, cedar, pine, and mahogany dustsAdditional Educational points:# "Farmer's lung" is the term most commonly used for HP due to inhalation of antigens present in moldy hay, such as thermophilic actinomyces, Micropolyspora faeni, and Aspergillus species.